‘Safety officers’ have to be appointed in factories where no. of workers is more than
1. 500
2. 1000
3. 2000
4. 5000

Correct answer: 2. 1000

Explanation: Health, Safety and Welfare recommendations:

A minimum of 500 cubic feet space per worker
1 Safety Officer per 1000 workers
1 Welfare Officer per 500 workers
1 Canteen for greater than 250 workers
1 Crèche for greater than 30 women workers